A 7-year-old child presents with a non-blanching rash over the extensor aspect of legs with swelling over the knee. Urine analysis shows proteinuria + and hematuria +++. On kidney biopsy which finding will be most commonly seen -
1. Fusion of podocytes
2. Acute tubular necrosis
3. Deposition of IgA
4. Thickened basement membrane

Correct answer: 3. Deposition of IgA